Epidural space lies between
1. Pia and arachnoid
2. Dura and arachnoid
3. Dura and vertebral column
4. d) Pia mater and grey mater

Correct answer: 3. Dura and vertebral column